Regarding anemia of chronic diseases, all are true except: -
1. Decreased serum Fe
2. Decreased Ferritin
3. Decreased total Fe binding capacity
4. Increased bone marrow Fe

Correct answer: 2. Decreased Ferritin

Explanation: In anemia of chronic inflammation , ferritin is normal or high, reflecting the fact that iron is sequestered within cells and ferritin is being produced as an acute phase reactant. Test Iron deficiency Anemia of chronic disease Thalassemia minor Lead posioning MCV | | | N/| Serum iron | | N | TIBC | | N | Percent saturation | | N | Serum ferritin | | N | RBC count | | | | Reference: - Robbins 10e, pg-456